Apoptosis is associated with all the following features Except
1. Cell shrinkage
2. Intact cellular contents
3. Inflammation
4. Nucleosome size fragmentation of nucleus

Correct answer: 3. Inflammation

Explanation: The following morphologic features, some best seen with the electron microscope, characterize cells undergoing apoptosisCell shrinkageChromatin condensationFormation of cytoplasmic blebs and apoptotic bodiesPhagocytosis of apoptotic cells or cell bodies, usually by macrophages. The plasma membrane of the apoptotic cell remains intact, but the membrane is altered in such a way that the cell and its fragments become avid targets for phagocytes. The dead cell and its fragments are rapidly cleared before cellular contents have leaked out, so apoptotic cell death does not elicit an inflammatory reaction in the host. Apoptosis differs in this respect from necrosis, which is characterized by loss of membrane integrity, enzymatic digestion of cells, leakage of cellular contents, and frequently a host reaction( Robbins Basic Pathology, 9th edition, page 18 )